Phrenic nerve innervates the diaphragm. What is the root value of phrenic nerve?
1. C2, C3, C4
2. C3, C4, C5
3. C4, C5, T1
4. C5, Tl, T2

Correct answer: 2. C3, C4, C5

Explanation: Phrenic nerve :The phrenic nerve arises from the ventral rami of cervical spinal nerves C3-5 and courses down in the prevertebral fascia.It courses vertically along the anterior scalene muscle between the subclavian artery and the subclavian vein en route to innervate the diaphragm.It carries sensation from the mediastinal and diaphragmatic parietal pleura, the pericardium, and the parietal peritoneum under the diaphragm.